Which one of the following is not a feature of multiple myeloma -
1. Hypercalcemia
2. Anemia
3. Hyperviscosity
4. Elevated alkaline phosphatase

Correct answer: 4. Elevated alkaline phosphatase

Explanation: In multiple myeloma , hypercalcaemia is due to destruction of bone. Anaemia is due to marrow replacement by tumor cells & inhibition of hematopoiesis. Hyperviscosity is due to hyperglobulinaemia & produce headache,fatigue,visual disturbance & hemorrhage.In the absence of fractures , plasma alkaline phosphatase & isotope bone scan will be normal despite lytic lesions.Reference : Harsh mohan textbook of pathology 6th edition pg no 383 & Davidson's principle & practice of medicine 22nd edition pg no1046.